Tripod fracture is seen in
1. Mandible
2. Maxilla
3. Nasal bone
4. Zygoma

Correct answer: 4. Zygoma

Explanation: Tripod fracture is seen in zygoma fractures as it involves three sites:Zygomatico-maxillary, Zygomatico-frontal, Zygomatico-temporal(arch)Presentation: Flattening of malar prominence, Step deformity, infra orbital paraesthesia, epistaxis, trismus.Ref: Hazarika; 3rd ed; Pg 359